A 24 year old male suffered a RTA with multiple abdominal injuries and femur fracture. He has lost 10% of his blood. The initial fluid of choice is -
1. Crystalloid
2. Colloid
3. Packed RBCs
4. Whole Blood

Correct answer: 1. Crystalloid

Explanation: Ans. is 'a' i.e., Crystalloid o This is grade I shock choice of fluid is crystalloid.o Has been explained in previous sessions